All of the statements are true about ileum EXCEPT:
1. Smaller diameter than jejunum
2. 3-6 arcades in continuation
3. Large circular mucosal folds
4. Lymph nodes in mesentery

Correct answer: 3. Large circular mucosal folds

Explanation: ILEUM:- Circular mucosal folds are smaller ,fewer and thin walled. Ileum has narrower lumen, as compared with jejunum. There are 3 or 6 arterial arcades with no windows. Lymphatics drain into the lymph nodes in the mesentery and finally drain into superior mesenteric nodes.